Thyroglossal cyst can increase the risk for
1. Follicular carcinoma
2. Papillary
3. Hurthic cell tumour
4. Anaplastic carcinoma

Correct answer: 2. Papillary

Explanation: Thyroglossal cyst can increase the risk for papillary carcinoma of thyroid.